In precocious females, menstruation occurs :
1. After 13 years of age
2. At 13 years of age
3. Less than 10 years of age
4. Below 12 years of age

Correct answer: 3. Less than 10 years of age

Explanation: Less than 10 years of age